An essential amino acid in man is
1. Aspartate
2. Tyrosine
3. Methionine
4. Serine

Correct answer: 3. Methionine

Explanation: Isoleucine, Leucine, Threonine, Lysine, Methionine, Phenylalanine, Tryptophan, and Valine are essential amino acids.
Reference: Vasudevan 7th  ed, pg 27